Normal anteflexion of uterus
1. 90 o
2. 100 o
3. 125 o
4. 140 o

Correct answer: 3. 125 o

Explanation: Normally the uterus lies in anteversion & anteflexion. Furthermore, the long axis of the body of the uterus is bent forward at the level of the internal os with the long axis of the cervix. This position is termed anteflexion of the uterus. ref - BDC 6e vol2 pg 387